Which is false about development milestones at 6 months of age?
1. Watching self in mirror
2. Sitting in tripod position
3. Pincer grasp
4. Monosyllable sounds

Correct answer: 3. Pincer grasp

Explanation: Ans. is 'c' i.e., Pincer grasp o Pincer grasp is seen at 9 monthsMilestones at 6 months of ageo In prone position lifts his head and greater part of his chest while supporting weight on extended armso Produces monosyllable sounds like da, ma.o Enjoys watching his own image in the mirroro Binocular vision develops (between 3-6 months)o Purposeful movements in space (6-8 months)o Sits in tripod position.Overview of milestonesAgeMilestoneo 1 month# In ventral suspension, starts lifting his head.# In prone position lifts the chinup momentarily in midline.# Turns head to sound.# Regards a lighted torch or the face of mother.o 2 months# In ventral suspension, lifts his head in the horizontal plane (in the plane of the body).# Social smile develops.# Follows object with steady movements of eye.o 3 months# In ventral suspension lifts his head above horizontal plance (Neck holding).# In prone position lifts his head and upper part of forearms.# Head control.# Starts cooing# Recognizes mother# Can follow an object upto 180dego 4 months# Grasps rattle or rings when placed in hand and bring it to the mouth (mouthing).# Can bear some weight of body with straight legs in the mother's lap.o 5 months# Gains control of head in supine position, a Sits with support# Reaches out to an object and holds it with both hands (bidextrous grasp).# Turns from back to side# Transfer the objects from one hand to another (between 5-7 months).o 6 months# In prone position lifts his head and greater part of his chest while supporting weight on extended arms.# Produces monosyllable sounds like da, ma.# Enjoys watching his own image in the mirror.# Binocular vision develops (between 3-6 months).o 7 months# Holds the objects with crude grasp from palm (palmargrasp)# Pivots# Shows strangers anxiety# Resists if a toy is pulled from his hand.# Babbleso 8 months# Rolls from back to stomach and from stomach to back.# Crawls in the bed.# Sits without supporto 9 months# Stand with support# Makes early stepping movements when feet are placed on the surface of the table.# Develops Pincer grasp with the index finger and thumb apposition.# Develops finer and more Cooridinated hand skills - Can scoop on a pellet crudely with his pa# Waves bye-bye# Produces bisyllable sound like baba, mama.o 10 months# Crawls and creeps, keeping his abdomen off the ground.# Can pull himself up from the supine to sitting position.# Walks with support# Can understand spoken speech e.g., where is the light.# Plays peek-a-boo game.# Can be placed on the toilet seat.o 1 year# Stands without support.# Tries to feed himself with a spoon but spills the contents.# Tries to remove his coat and attempts to wear his socks or shoes without success.# Does mimicry.# Plays a simple ball game.# Can use 2 words with meaning.# Tries to build a Tower of 2 cubes.# Tries to scribble spontaneously (between 12-24 months).o 13 months# Walking without support# Can turn two or three pages of a book at a time.o 15 months# Can take several steps sideways and takes a few steps backward.# Creeping upstairs# Can walk to the toilet (between 15-16 months).# Learns to feed himself with spoon without spilling its contents.# Makes a tower of 3 cubes.# Vocabulary of 4 to 6 words# Enjoy polysyllabic jargoningo 18 months# Starts running (runs stiffy)# Can feed himself from a cup.# Can use 10 words with meaning.# Name pictures# Builds tower of 4 cubes.# Ready for starting toilet training.# Copies parents in task.o 2 years# Walking up and downstairs, one step at a time i.e., brings both his feet up onone step before climbing to the next step (but not by alternate feet).# Can turn pages of book one at a time.# Draws a vertical or horizontal line.# Is able to wear socks or shoes.# Kicks ball on request# Jumps of the floor with both feet.# Builds tower of 7 cubes.# Makes simple sentences and uses pronouns.# Is trainable for toilet and verbalizes toilet needs.# Can unscrew lids and turn door knobs.# Points 3-4 body parts.o 30 months# Climbs stairs alternating feet.# Makes tower of 9 cubes.# Refers to self as 7' and knows full name.o 3 years# Rides tricycle# Stands momentarily on one foot.# Draws a circle.# Can dress or undress himself completely and succesfully buckles his shoes.# Builds tower of 10 cubes.# Knows his gender and age.# Repeats a sentence of 6 syllables.# Has a vocabulary of 250 words.# Counts 3 objects correctly.# Can withhold and postpone bowel movement# Handedness is established.o 4 years# Hops on one foot.# Goes down stairs with alternating feet.# Draws a cross (plus sign)# Draws a rectangle# Identifies colors# Counts 4 pennies accurately.# Can identify left and right (left-right discrimination).# Can use sentence of six words.# Can tell a story.o 5 years# Draws a tilted corss (multiplication sign)# Draws a triangle# Skips# Name 4 colors# Counts 10 pennies correctly# Can use sentence of 10 words.